Primitive streak is initiated and maintained by
1. Nodal gene
2. BMP4
3. FGF
4. Brachyury gene

Correct answer: 1. Nodal gene

Explanation: Ans. is 'a' i.e. Nodal gene "The primitive streak in itself is initiated and maintained by expression of Nodal, a member of the transforming growth factor b (TGFb) family." - Longman's Medical embryology 10/e, p 57